Trinucleotide repeat causes all except:
1. Hereditary motor sensory neuropathy
2. Frederich ataxia
3. Spinocerebellar ataxia
4. Huntington disease

Correct answer: 1. Hereditary motor sensory neuropathy

Explanation: Ans: a (Hereditary motor sensory neuropathy) Ref: Ganong, 22nd ed,p. 215Some examples of trinucleotide repeat diseases:Huntington's disease -- CAGFragile X syndrome-- CGGSpinocerebellar ataxia '-- CAGMyotonic dystrophy-- CTG(Type 1,2,3,63)Frederich's ataxia-- GAA